In schizophrenia, good prognostic factor is
1. Family history of schizophrenia
2. Young onset
3. No precipitating factors
4. Acute onset

Correct answer: 4. Acute onset

Explanation: (D) Acute onset PROGNOSTIC FACTORS IN SCHIZOPHRENIAGood Prognostic FactorsPoor Prognostic Factors* Acute or abrupt onset* Insidious onset* Onset > 35 years of age (late onset)* Onset < 20 years of age (early onset)* Presence of precipitating stressor* Absence of stressor* Good premorbid adjustment* Poor premorbid adjustment* Catatonic subtype (Paranoid subtype* Disorganized, simple, undifferentiated, has an intermediate prognosis) or chronic catatonic subtypes* Short duration (< 6 months)* Chronic course (> 2 years)* Presence of depression* Absence of depression* Predominance of positive symptoms* Predominance of negative symptoms* Family history of mood disorder* Family history of schizophrenia* First episode* Past history of schizophrenia* Pyknic (fat) physique* Asthenic (thin) physique* Female sex* Male sex* Good social support* Poor social support or unmarried* Presence of confusion, perplexity, or* Flat or blunted affect disorientation in the acute phase* Proper treatment, good treatment* Absence of proper treatment or compliance, and good response poor response to treatment to treatment* Outpatient treatment* Institutionalization (long term hospitalization)* Normal cranial CT scan* Evidence of ventricular enlargement on cranial CT scan